Randomized controlled trials are all except:
1. Clinical trials.
2. Preventive trials.
3. Before and after comparison studies.
4. Evaluation of health services.

Correct answer: 3. Before and after comparison studies.